On microscopic examination eggs are seen, but on saturation with salt solution. No eggs are seen, the eggs are likely to be of -
1. Trichuris trichura
2. Tenia solium
3. Ascaris lumbricoides
4. Ancylostoma duodenale

Correct answer: 2. Tenia solium